What is pin index of O2-Co2 (Co2 > 7.5%):-
1. 1,6
2. 2,6
3. 3,6
4. 4,6

Correct answer: 1. 1,6

Explanation: Gas Index Pins Oxygen 2,5 Nitrous oxide 3,5 Cyclopropane 3,6 O2-CO2 (CO2<7.5%) 2,6 O2-CO2(CO2>7.5%) 1,6 O2-he(He>80.5%) 4,6 O2-he(He<80.5%) 2,4 Air 1,5 Nitrogen 1,4 N2O-O 7